All are true about cryptococcus except -a) Polysaccharide capsuleb) Reproduces by buddingc) Pseudohyphaed) Mycelium have a narrow base
1. cd
2. bc
3. bd
4. ac

Correct answer: 1. cd